Which of the following is the odd one?
1. Dhat syndrome
2. Run amok
3. Koro
4. Briquet syndrome

Correct answer: 4. Briquet syndrome

Explanation: Briquet syndrome is the older name for somatoform disorder. The other three mentioned as choices are all examples of culture bound syndromes. Name of the culture bound syndrome Important feature Dhat syndrome Preoccupation with discharge of semen and loss of vitality Koro Preoccupation with shrinking and possible disappearance of penis Latah Sudden stimuli (commonly loud noise) can present with automatic obedience, echolalia, and echopraxia Run amok Episode of extreme rage and violence, with significant possibility of damage to other individuals and property